Volume determining preload is:
1. End diastolic volume of ventricles
2. Endo systolic volume
3. Volume of blood in aorta
4. Ventricular ejection volume

Correct answer: 1. End diastolic volume of ventricles

Explanation: A i.e End diastolic volume of ventricles According to frank-starling law, the length of muscle fibers (extent of the pre-load) is proportionate to the end diastolic volumeQ